True about MHC-class II -
1. Not involved in innate immunity
2. Cytotoxic T-cell involved
3. Present in nucleated cells
4. All

Correct answer: 1. Not involved in innate immunity

Explanation: Ans. is 'a' i.e., NOT involved in innate immunity o MHC I and II are part of adapative immunity. Major function of MHC molecule is to present the antigen to T cell that is part of adaptive immunity. o Cytotoxic T cells are MHC - class I restricted. o MHC class II complex is found only on cells of the immune system (class I is found on all nucleated cells and platelets. o B cells have both MHC class I and II complexes.